All are true for Point source epidemic except
1. Epidemic curve rises and falls sharply
2. Clustering of cases within a short period of time
3. Person-to-person transmission
4. All cases usually develop within one incubation period

Correct answer: 3. Person-to-person transmission

Explanation: EPIDEMIC:
• Definitions of epidemic:
– Occurrence of no. of cases of a disease ‘clearly in excess of normal expectancy (NE)’
1. Normal expectancy is derived by looking at average of no. of cases of the disease in previous 3 – 5 years in that geographical area
2. If NE = zero, ‘even one case is considered epidemic’